A 8 year old child has localized non cicatrial alopecia over scalp with itching and scales. The diagnosis is –
1. Tinea Barbae
2. Alopecia areata
3. Tinea Capitis
4. Lichen planus

Correct answer: 3. Tinea Capitis

Explanation: Information in this question are -


Non-cicatrial alopecia
Itching
Scales
Patient is child (8 years)


Amongst the given options Non-cicatricial alopecia is caused by T.Capitis and alopecia areata.
But only T.Capitis fullfils the criteria here, i.e. Non-cicatricial alopecia, Itching, Scales in a child.
Alpecia areata occurs in young adults, and there is no itching or scales.